The following are the myeloproferative disorders except-
1. Polycythemia vera
2. Essential thrombocytosis
3. Chronic myeloid leukemia
4. Hairy cell leukemia

Correct answer: 4. Hairy cell leukemia

Explanation: Hairy cell leukemia is a B-cell malignancy characteised by the presence of hairy cells in the blood & bone marrow & splenomegaly. Myeloproliferative diseases include chronic myeloid leukaemia ,polycythaemia vera, essential thrombocythaemia,chronic idiopathic myelofibrosis,chronic neutrophilic leukaemia ,chronic eosinophilic leukaemia .Reference :Harsh mohan textbook of pathology 6th edition pg no 357 & 378.